Tigered effect in myocardium is due to
1. Malignant change
2. Fat deposition
3. Seen in rheumatic fever
4. Associated with myocarditis

Correct answer: 2. Fat deposition

Explanation: .It is intracellular deposits of fat, which create grossly apparent bands of yellowed myocardium alterations with bands of darker, red-brown, uninvolved myocardium(tigeredeffect) It happens in Prolonged mod hypoxia and in Diptheretic myocarditis. Ramdas Nayak 2nd edition page no. 391